All are true about thymus swelling except –
1. Widening of mediastinum on X–ray
2. Sharp border with sail like appearance
3. Steroid administration reduces size of swelling
4. Shift of trachea on X–ray

Correct answer: 4. Shift of trachea on X–ray

Explanation: Thymic shadow does not indent tracheal shadow. A mediastinal shadow indenting tracheal shadow should always be evaluated for a significant pathology.
Thymic swelling may cause widening of anterior mediastinum. Thymic swelling causes a sail-shaped shadow. Thymic swelling may shrink with use of steroids.